CD - 95 in apoptosis; the death receptors initiated through -
1. Induces apoptosis when it engaged by fas ligand system
2. Cytochrom C binds to a protein Apoptosis activating (Apaf -1) factor - 1
3. Apoptosis may be initiated by caspase activation
4. Apoptosis mediated through DNA damage

Correct answer: 1. Induces apoptosis when it engaged by fas ligand system

Explanation: Ans. is 'a' i.e., Induces apoptosis when it engaged by fas ligand system